Gingivally the depth of a class V cavity is
1. 0.5 — 1 mm
2. 0.75 — 1mm
3. 1-1.25mm
4. 2-3mm

Correct answer: 2. 0.75 — 1mm